Red brown colour postmortem staning seen in -
1. Cyanide
2. Phosphorus
3. Carbon monoxide
4. Aniline

Correct answer: 4. Aniline